All of the following are methods of health promotion except
1. Immunization
2. Nutritional education
3. Behavioural changes
4. Health education

Correct answer: 1. Immunization

Explanation: Health promotion is "the process of enabling people to increase control over, and to improve health . It is not directed against any particular disease, but is intended to strengthen the host through a variety of approaches (interventions). The well--known interventions in this area are: i. health education ii.environmental modifications iii.nutritional interventions iv. lifestyle and behavioural changes . Ref: 25th edition Park's Textbook of Preventive and Social Medicine, Page no. 48, 49, 50